In extraoral technique for maxillary nerve block, needle is directed into the:
1. Foramen ovale
2. Pterygopalatine fossa
3. Stylomastoid foramen
4. Posterior to lateral pterygoid plate

Correct answer: 2. Pterygopalatine fossa

Explanation: In extra oral technique for mandibular nerve block (Gow gates and Akinosi techniques are for intra oral mandibular anaesthesia), the needle is inserted from below the zygomatic arch and is directed posterior to the lateral pterygoid plate below the foramen ovale.
In extra oral technique for maxillary nerve block, the needle is directed anterior to lateral pterygoid plate into the pterygopalatine fossa.